Vocal cord is lined by which of the following epithelium
1. Cuboid
2. Stratified squamous
3. Stratified columnar
4. Pseudo ciliated columnar

Correct answer: 2. Stratified squamous

Explanation: The epithelium of the mucous membrane of the larynx is ciliated columnar epithelium except for the vocal cords and upper part of the vestibule where it is of stratified squamous type